Middle lobe of prostrate is present in between:
1. Prostatic urethra & Ejaculatory' duct
2. Prostatic u reth ra & rectu m
3. Ejaculation duct & pubis
4. Pubis and rectum

Correct answer: 1. Prostatic urethra & Ejaculatory' duct

Explanation: Ans: A (Prostatic urethra & ejaculatory duct) Middle lobe of prostate lies behind the upper part of the urethra and in front of the ejaculatory ductQ, just below the neck of the bladderQ"- BDC4th/Vol II -372Fig.; Saggital section of a prostate that had undergone benign enlargement of the median lobe. Note the bladder pouch filed with stagnant urine behind the prostateProstate : High Yielding Fields# The median or middle or prespermatic Lobe* It produes an elevationQ in the lower part of the trigone of the bladder. It contains much glandular tissues.It is the common site of adenomaQThe prostate has the five lobesQ-anterior. posteriorm median and right and left lateralAdenoma never occurs at posterior part but carcinoma is common.Outer zone: frequently the site of carcinomaeInner zone : typically prone to benign hypertrophy5Median lobe which lies between urethra and the ejaculatoryt duct is prone to benign hypertrophy. QPosterior lobe, which lies behind the urethra and below the ejaculatory duct contains glandular tissue and is prone to carcinomatous transformation.Q